Subtrochanteric fractures of femur can be treated by all of the following methods except:
1. Smith Patersen Nail
2. Condylar blade plate
3. Ender's nail
4. Skeletal traction on Thomas splint

Correct answer: 1. Smith Patersen Nail

Explanation: Smith Patersen Nail was previously used for internal fixation of fracture neck of femur. IMAGE OF ENDERS NAIL Ref : Maheswari 9th ed